All of the following conditions usually do not require any treatment in a neonate EXCEPT?
1. Milia
2. Erythema toxicum neonatorum
3. Vaginal bleeding
4. Neonatal hypothermia

Correct answer: 4. Neonatal hypothermia

Explanation: Conditions in Neonates Not Requiring Rx Skin & Mucosa Others 1. Milia (Colourless papules d/t plugging of sweat ducts) 2. Erythema Toxicum Neonatorum (red coloured rashes, mainly on trunk during 1st week for life d/t some immune phenomenon) 3. Mongolian Spots (Bluish-black areas of discoloration on lower back & buttocks) 4. Stork Bites/ Salmon Patches (capillary hemangiomas) 5. Epstein Pearls (pearl like white lesions on palate, which are epithelial inclusin cysts) 6. Subconjunctival Hemorrhage 7. Mastitis Neonatorum: B/L Breast Engorement (in both female and male due to maternal estrogens) 8. QVaginal Bleeding in female Neonates (No Rx reqd.) 9. Hymenal Tags 10. Physiological wt Loss (In term babies, up to 10% of birth wt. loss is physiological